The psychiatric disorder that has been found to be associated with PANDAS is :
1. OCD
2. Depression
3. Schizophrenia
4. ADHD

Correct answer: 1. OCD

Explanation: In a small number of cases, OCD in children any be precipitated/worsened after infection with Group A b-hemolytic Streptococcus (GABHS). It has been hypothesised that an autoimmune response in basal ganglia may be triggered by the infection and can result in rapid development of OCD and tics. These cases of infection triggered OCD are referred to as Paediatric Autoimmune Neuropsychiatric Disorders Associated with Streptococcal infections (PANDAS)